Drug of choice in alcohol withdrawl is:
1. Disulfiram
2. Benzodia zepines
3. Acamprosate
4. Naltrexone

Correct answer: 2. Benzodia zepines

Explanation: (Benzodiazepines): Ref: 2565 - H,953-955-CMDT-09 (955-H17th)Alcohol withdraw!* Benzodiazepines have the highest margin of safety and lowest cost and are, therefore the preferred class of drugs(Diazepam or chlordiazepoxide)Rehabilitation of Alcoholics: - counseling education, and cognitive approaches, several medications (Naltrexone, Acamprosate, ALDH inhibitor disulfiram)